True about EMLA – a) Can be used for intubationb) Mixture of local anesthesiac) Faster actingd) Used in children
1. c
2. d
3. bd
4. ac

Correct answer: 3. bd

Explanation: EMLA is eutectic mixture of local anesthetics lignocaine & prilocaine. It acts slowly and can anesthetize intact skin. 

​EMLA is used :- to make venepuncture painless especially in children, and procedures like skin grafting & circumcision